Favourable prognosis for AML with ?
1. t(8,21)
2. Deletion 5q
3. Preceeding MDS
4. Age < 2years

Correct answer: 1. t(8,21)

Explanation: Ans. 'a' i.e., t(8,21) Monsomies (eg. -5 or -7) carry poor prognosis. Prognostic factors of AML There are many prognostic factors for AML of particular note are : - Age : - Age greater than 65 years or less than 2 years has been associated with poor prognosis independent of cytogenetics. AML evolving from prior myelodysplastic syndrome (MDS) is associated with poor prognosis. Leukocytosis and/or an elevated peripheral blast count are associated with poor prognosis. Cytogenetics : - AML prognosis is currently separated into three broad categories based on cytogenic results:- o Favourable : inv (16), t (15:17), t (8 : 21). Intermediate : Normal, + 8, + 21, +22, del (7q), del (9q), Abnormal 11 q23. Unfavorable : - -5, -7, complexes with 5 chromosomes involved, del (5q), abnormal 3q, abnormal 17p.